NSABP stands for ?
1. National surgical adjuvant for breast project
2. National surgical adjuvant for breast and bowel project
3. National surgical adjuvant for brain and breast
4. National surgical adjuvant for bowel and brain

Correct answer: 2. National surgical adjuvant for breast and bowel project

Explanation: Ans. is 'b' i.e., National surgical adjuvant for breast and bowel project The National Surgical Adjuvant Breast and Bowel Project (NSABP) is a clinical trials cooperative group supported since its inception by national cancer institute (NCI).